Gennifer, a 4 years got her lower 2nd molar extracted due
to caries, the possible Line of treatment is
1. Distal shoe space maintainer
2. Band and loop between primary 1st molar and permanent 1st molar
3. Removable partial denture
4. No active treatment is necessary

Correct answer: 1. Distal shoe space maintainer